QT prolongation is caused by:
1. Quinidine
2. Omeprazole
3. Lidocaine
4. Penicillin

Correct answer: 1. Quinidine

Explanation: Ans. a. QuinidineRef: Goodman Gilman 12th e/P. 821Drugs Causing QT prolongation:Antihistamines: Class la (Quinidine) and Class IIICisaprideAntipsychotics: Ziprasidone, sertindole, quetiapine, haloperidol, etc.Antidepressants: Tricyclic antidepressants like amitriptyline, SSRI like fluoxetineAntibiotics: Fluoroquinolones, erythromycinAntihistaminics: Astemizole, terfenadineAntifungals: KetoconazoleAntimalarials: Chloroquine, quinine, halofantrineAntivirals: Amantadine